The most important morphologic or histological
consideration in cavity preparation in primary teeth is
the:
1. Size of primary molars
2. Thickness of enamel and dentin
3. Direction of the roots below the cemento enamel junction
4. Direction of the enamel rods at the cervical region

Correct answer: 2. Thickness of enamel and dentin